Sparfloxacin and astemizole can cause :
1. Ventricular arrhythmia
2. Myopathy
3. Electrolyte imbalance
4. Nephropathy

Correct answer: 1. Ventricular arrhythmia